Acquired nasolacrimal duct obstruction is a side effect of therapy of which of the following medication?
1. Timolol
2. Brimonidine
3. Dorzolamide
4. Pilocarpine

Correct answer: 1. Timolol

Explanation: Ans. a. Timolol (Ref: Seider N, Miller B, Beiran l. Topical glaucoma therapy as a risk factor for nasolacrimal duct obstruction.' Am J Ophthalmol. 2008 Jan; 145(1): 120-123, Epub 2007 Oct 29.)Acquired nasolacrimal duct obstruction is a side effect of chronic use of timolol-containing topical glaucoma therapy:"Chronic use of timolol-containing topical glaucoma therapy preparations in glaucoma patients is associated with an increased risk for the development of nasolacrimal duct obstruction (NLDO)."- Seider N, Miller B, Beiran I. Topical glaucoma therapy as a risk factor for nasolacrimal duct obstruction.' Am J Ophthalmol. 2008 Jan;145(1):120-123. Epub 2007 Oct 29.